All of the following are included as causes of maternal death except –
1. Following abortion
2. During lactation 1st month (Puerperal)
3. During lactation 8th month
4. During the last trimester due to APH

Correct answer: 3. During lactation 8th month